An increase in which of the following increases the O2 affinity of hemoglobin?
1. Temperature
2. PCO2
3. H+ concentration
4. Carbon monoxide added to the blood

Correct answer: 4. Carbon monoxide added to the blood

Explanation: A small amount of carbon monoxide added to blood increases its oxygen affinity, that is, it causes a leftward shift of the O2 dissociation curve . All the other choices reduce the oxygen affinity of hemoglobin, that is, they shift the dissociation curve to the right.